Schistocytes in peripheral smear are seen in all except:
1. DIC
2. Sickle cell anemia
3. TTP
4. HUS

Correct answer: 2. Sickle cell anemia

Explanation: Schistocyte is fragmented RBC which is seen in any condition where there is micro and macro angiopathic hemolytic anemias. Microangiopathic hemolytic anemia is most commonly seen with DIC, TTP, hemolytic-uremic syndrome (HUS), malignant HTN, SLE, and disseminated cancer. Macroangiopathic schistocyte is seen in patient with prosthetic heart valve. Sickle cell anemia: Blockage of vessels by sickled cells causes pain crises and tissue infarction, particularly of the marrow and spleen. Red cell membrane damage caused by repeated bouts of sickling results in a moderate to severe hemolytic anemia.